Joints of hand are not affected in-
1. AS
2. RA
3. OA
4. Psoriatic arthritis

Correct answer: 1. AS

Explanation: Ans. is 'a' i.e.. AS o Ankylosing spondylitis does not affect hand and foot joint,o OA, RA and psoriatic arthritis affect hand joints.Joints involvedDiseasesPIPRA, OA, Psoriatic arthritisPIP + DIPOA, Psoriatic arthritisPIP + DIP + 1st carpometacarpal joint with sparing of MTP & wristOAPIP + MTP + wrist with sparing of DIPRAPIP+DIP+MTP+wrist (However any joint can be spared)Psoriatic arthritisAxial joints (SI joint, spine), Hip, shoulderAnkylosing spondylitis